Chronic amoebic keratitis is seen in:
1. E. histolytica
2. Acanthamoeba
3. Naegleria
4. Haemoflagellates

Correct answer: 2. Acanthamoeba

Explanation: Ans.(b)Acanthamoeba spp have been linked to several clinical conditions, including, Granulomatous amoebic encephalitis, cutaneous infections and amoebic keratitis. The primary group at risk for developing this condition is individuals you wear contact lenses especially the soft and extended wear type. The organism enters through a corneal trauma and there is subsequent colonization. It produces a protein which causes cell Lysis thus causing clinical symptoms of keratitis.